Which of the following surface glycoproteins is most often expressed in human hematopotetic stem cell?
1. CD22
2. CD4D
3. CD15
4. CD34

Correct answer: 4. CD34

Explanation: HSC express a variety of cell surface proteins such as CD34 and adhesion proteins which helps cells to home to the bonemarrow when infused Reference : Harsh Mohan textbook of pathology, 7th edition.Pg no.262